Meckel's derived from;
1. Proximal part of VID
2. Distal part of VID
3. Entire VID
4. Urachus

Correct answer: 1. Proximal part of VID

Explanation: Ans. (a) Proximal part of VIDRef: Sabiston 20th edition, Page 1284* Meckel's diverticulum results from incomplete closure of proximal VID* Raspberry tumor (Umbilical adenoma) is persistence of distal VID